A patient presents with fever for 3 weeks. On examination he is observed to have Splenomegaly. Ultrasonography reveals a hypoechoic shadow in spleen near the hilum. Gram negative bacilli are isolated on blood culture. Which of the following is the most likely causative organism?
1. Cytomegalovirus
2. Toxoplasmosis
3. Salmonella
4. Lymphoma virus

Correct answer: 3. Salmonella

Explanation: Only salmonella is a bacteria, toxoplasmosis is a parasite,other options given are viruses. so this question just need general knowledge to answer no need to explain. Ref: Harrison's Internal Medicine, 17th Edition, Page 458, 812